Isolated painful third nerve palsy is a feature of aneurysms of:
1. Posterior communicating artery
2. Anterior communicating artery
3. Vertebrobasillary artery
4. Ophthalmic artery

Correct answer: 1. Posterior communicating artery

Explanation: Ans. Posterior communicating artery